After falling from a height, a child lands on his fully outstretched hands. On examination there is pain and swelling over his right elbow. Give your probable diagnosis -
1. Fracture olecranon
2. Post dislocation of elbow
3. Supra condylar fracture of humerus
4. Fracture both bones forearm

Correct answer: 3. Supra condylar fracture of humerus

Explanation: Pain and swelling in a child after falling on outstretched hands suggest the diagnosis of supracondylar humeral fracture, which is the most common elbow injury in children.
Colles fracture, posterior dislocation and olecranon fracture are uncommon in children.